Double arch of aorta is seen in:
1. CATCH22
2. Di George syndrome
3. Velo cardiofacial syndrome
4. All of the above

Correct answer: 4. All of the above

Explanation: d. All of above(Ref: Nelson's 20/e p 2211-2217, Ghai 8/e p 420-423)Double aortic archIt is associated with a chromosome 22q11 deletion in approximately 20% of patients22q11 deletion is responsible for DiGeorge, velocardiofacial, and conotruncal anomaly face syndromes, which are often referred to using the unified terms CATCH-22 syndromeIt is also associated with VACTERL (vertebral, anal, cardiac, tracheal, esophageal, renal, and limb abnormalities) orCHARGE (posterior coloboma, heart defect, choanal atresia, retardation, genital, and ear) associations.Previously classified as: (now considered part of same spectrum).Di-George syndrome (thymic hypoplasia, diminished T-cell immunity, parathyroid hypoplasia with hypocalcemia) andVelocardiofacialQ syndrome (congenital heart disease, dysmorphism, developmental delay).